Which of the following anticancer drugs can cause hypercoagulable state:
1. 5-FU
2. L-asparaginase
3. Melphalan
4. Carmustine

Correct answer: 2. L-asparaginase

Explanation: Asparaginase is an anti-cancer ("antineoplastic" or "cytotoxic") chemotherapy drug. This medication is classified as an "enzyme. Aspariginase is given as an injection into a large muscle (intramuscular or IM). The following side effects are common (occurring in greater than 30%) for patients taking asparaginase: Fever, chills (see flu like symptoms) Nausea and vomiting Allergic reaction, (sudden onset of wheezing, itching, rash, face swelling, agitation, low blood pressure). You will be monitored closely for this reaction. Poor appetite Stomach cramping Central neurotoxicity: excessive sleepiness, depression, hallucinations, agitation, disorientation or seizure. Less commonly seen stupor, confusion and/or coma. These side effects are less common (occurring in about 10-29%) of patients receiving asparaginase: Mouth sores Pancreatitis (inflammation of the pancreas) in up to 10% of patients. Mainly noted in blood tests that return to normal after therapy is discontinued. Rarely may be severe causing symptoms. Symptoms of acute pancreatitis include: (pain in the upper abdomen that worsens with eating, swollen and tender abdomen, nausea, vomiting, fever, and rapid pulse). Blood test abnormalities (Increased blood glucose level - some refer to this as "sugar"). Increases in blood tests measuring liver function. These return to normal once treatment is discontinued (see liver problems). Blood clotting disorders, increases risk of both bleeding and clotting.